Hemolytic disease of newborn is an example of--
1. Type III hypersensitivity
2. Type II hypersensitivity
3. Arthus reaction
4. Type IV hypersensitivity

Correct answer: 2. Type II hypersensitivity

Explanation: Harshmohan textbook of pathology 7th edition. type2 antibody mediated or cytotoxic reaction . Cytotoxic antibodies to blood cells are more common. Egs are auto immune hemolytic Amelia, transfusion reactions, hemolytic disease of new born, idiopathic thrombocytopenic purpura, leucopenia with agarnulocytosis..